Indications for Liver Transplantation include:
1. Hemochromatosis
2. Primary Biliary Cirrhosis
3. Sclerosing cholangitis with ulcerative colitis
4. All

Correct answer: 4. All

Explanation: Answer is D All (All of the above) :Biliary atresia is an indication for Liver transplantation in children while primary Biliary Cirrhosis, Sclerosing cholangitis and Hematochromatosis an established indications for Liver transplantation in adultsIndication for Liver Transplantation:ChildrenBiliary atresiaNeonatal hepatitisCongenital hepatic fibrosisAlagille's disease"Byler's diseasea 1 -Antitrypsin deficiencyInherited disorders of metabolismWilson's diseaseTyrosinemiaGlycogen storage diseasesLysosomal storage diseasesProtoporphyriaCrigler-Najjar disease type IFamilial hypercholesterolemiaPrimary hyperoxaluria type IHemophiliaAdutsPrimary biliary cirrhosisSecondary biliary cirrhosisPrimary sclerosing cholangitisAutoimmune hepatitisCarob's disease'Cryptogenic cirrhosisChronic hepatitis with cirrhosisHepatic vein thrombosisFulminant hepatitisAlcoholic cirrhosisChronic viral hepatitisPrimary hepatocellular malignanciesHepatic adenomasNonalcoholic steatohepatitisFamilial amyloid polyneuropathy"Arteriohepatic dysplasia, with paucity of bile ducts, and congenital malformations, including pulmonary stenosis."Intrahepatic cholestasis, progressive liver failure, mental and growth retardation`Multiple cystic dilatations of the intrahepatic biliary tree.Hematochromatosis is also an indication for Liver Transplantation'Among genetic and metabolic conditions, Hematachroatosis is the most common reason for Liver Transplantation'